A patient semiconscious with altered sensorium with visual hallucination and fragmented delusions is suffering from, which of the following disorder -
1. Delirium
2. Delusion
3. Schizophrenia
4. Mania

Correct answer: 1. Delirium

Explanation: This patient has :- i) Altered sensorium, ii) Visual hallucination, iii) Semiconscious, iv) Fragmented delusions.
All can occur in delirium.
In schizophrenia, mania and demention consciousness and orientation is usually normal.